Single best mortality indicator
1. CDR
2. PMR
3. ASDR
4. CFR

Correct answer: 3. ASDR

Explanation: ref: Park's 23rd edition pg 58 ASDR(Adjusted Standardised Death Rate): here, age adjustment or age standardisation is made, which removes confounding effect of different age structures and yields a single standardised or adjusted rate, by which the mortality experience can be compared directly.